All of the following statements about Parvovirus B-19 are true except -
1. DNA virus
2. Crosses placenta in only < 10% of cases
3. Can cause severe anemia
4. Can cause aplastic crisis

Correct answer: 2. Crosses placenta in only < 10% of cases